All are true regarding tear film except:
1. Consists of aqueous, lipid & mucus layer
2. Lipid layer is secreted by meibomian glands
3. Aqueous layer is formed by filtration from blood capillaries
4. Deficiency cause dry eye

Correct answer: 3. Aqueous layer is formed by filtration from blood capillaries

Explanation: C i.e. Aqueous layer is formed by filtration from blood capillaries